Skin over the angle of mandible is supplied by
1. Auriculotemporal nerve
2. Lesser occipital nerve
3. Infraorbital nerve
4. Great auricular nerve

Correct answer: 4. Great auricular nerve

Explanation: Ans. d (Great auricular nerve) (Ref. BDC Vol. Ill 4th ed. 57)The great auricular nerve originates from the cervical plexus, composed of branches of spinal nerves C2 and C3. It provides sensory innervation for the skin over angle of mandible (parotid area) and mastoid process, and both surfaces of the outer ear.INNERVATION OF THE SKIN OF FACE# Innervation of the skin is mainly through the three branches of the trigeminal nerve (CN V).# Some skin over the angle of the mandible and anterior and posterior of the auricle is supplied by the great auricular nerve from the cervical plexus.# Some cutaneous branches of the auricular branch of the facial nerve also supply skin on both sides of the auricle.# The trigeminal nerve is the general sensory nerve to the head, particularly the face, and is the motor nerve to the muscles of mastication.